A 45 years old female presented with vague abdominal pain. On laboratory investigation, amylase was normal but CEA was raised. CT scan was performed, showing a hypodense lesion in pancreas, which had internal septation and wall calcification. Most probable diagnosis is:
1. Serous cystadenoma
2. Mucinous cystadenoma
3. Intraductal mucinous papillary neoplasm
4. Acinic cell tumour

Correct answer: 2. Mucinous cystadenoma

Explanation: CECT showing peripheral egg shell calcification suggesting the diagnosis of Mucinous cystadenoma Mucinous cystadenoma M.C cystic neoplasm of pancreas. More common in females (perimenopausal women) Lined by columnar epithelium M.C site is body & tail Premalignant Work up- Associated with increased CEA Amylase is normal. Histopathology- Contain ovarian type stroma CECT- peripheral egg shell calcification Rx- Distal pancreatectomy